Most of the viral infections present as-
1. Conjunctivitis
2. Keratitis
3. keratoconjunctivitis
4. None

Correct answer: 3. keratoconjunctivitis

Explanation: Most of the viral infections tend to affect the epithelium, both of the conjunctiva and cornea, so, the typical viral lesion is a 'keratoconjunctivitis'. In some viral infections, conjunctival involvement is more prominent (e.g., pharyngo-conjunctival fever), while in others cornea is more involved (e.g., herpes simplex). Ref: A K KHURANA COMPREHENSIVE OPHTALMOLOGY,E4,page-68,69